A patient with complete anosmia will still respond to inhalation of:
1. Coffee
2. Ammonia
3. Vanilla
4. Garlic

Correct answer: 2. Ammonia

Explanation: Smell of coffee, vanilla and garlic is sensed by olfactory system. Vapours of ammonia are so strong that they stimulate somatic sensory fibres (V nerve). Ammonia is never used to test sense of smell.